Which of the following pain is not referred to ear?
1. Pharynx
2. Teeth
3. Angle of TM joint
4. Vestibule of nose

Correct answer: 4. Vestibule of nose

Explanation: ANSWER: (D) Vestibule of noseREF: Dhingra's 4th ed p.144The ear is supplied by Vth (auriculotemporal), IX th (tympanic br.) and X th (auricular br.) nerve and C2 (lesser occipital), C3 and C4 (greater auricular)Pain may be referred to ear from one of the following:I. Via Vth nerve:Dental: caries , molar impaction and dental abscessOral: benign or malignant ulcerative lesions of oral cavityT-M joint disordersSphenopalatine neuralgiaII. Via IXth nerve:Oropharynx : lesions of tonsils , soft palate and the pillarsBase of tongueElongated styloid processIII X th nerve:Malignant or ulcerative lesions of the larynx. Laryngopharynx , esophagus , epiglottis , valecullaIV. C2, C3 C4:Cervical spine disorders